Ramu aged 45 years, a chronic alcoholic presents with complaints of confusion , ataxia , opthalmoplegia and peripheral neuropathy - diagnosis is :
1. Korsakoff's psychosis
2. Delerium tremens
3. Alcoholic hallucination
4. Wernicke's encephalopathy

Correct answer: 4. Wernicke's encephalopathy

Explanation: D i.e. Wernicke's encephalopathy